Cigarette smoking and long-term use of oral contraceptives in a woman would most likely predispose to primary cancer in which of the following sites
1. Breast
2. Ovary
3. Endometrium
4. Cervix

Correct answer: 4. Cervix

Explanation: There are numerous risk factors for cervical cancer: young age at first intercourse (younger than 16 years) multiple sexual partners cigarette smoking race high parity low socioeconomic status chronic immune suppression, HIV HPV infection chronic OCP use